Which of the following is not an Arcon type articulator:
1. Hanau H series articulator
2. Whipmax
3. Teledyne (Class III)
4. Ney (Class III)

Correct answer: 1. Hanau H series articulator